Post-splenectomy patient is in need of _____ vaccination
1. Pneumococcal
2. Rota virus
3. BCG
4. MMR

Correct answer: 1. Pneumococcal

Explanation: Streptococcus pneumoniae causes infection only when host resistance is lowered by contributory factors such as respiratory viral infection, pulmonary congestion, stress, malnutrition, immunodeficiency and alcoholism. Splenectomy and sickle cell disease are important predisposing conditions. A polyvalent polysaccharide vaccine representing the capsular antigens of 23 most prevalent serotypes have been stated to give 80-90% protection. A 7-valent conjugate vaccine used in children from two months to two years of age. Reference: Textbook of Microbiology; Anathanarayan and panicker's; 9th edition; Page no: 227, 228